Which one of the following enzymes is obtained from Thermophilus aquaticus bacterium which is heat stable and used in PCR at high temperature?
1. DNA polymerase III
2. Endonuclease
3. Taq polymerase
4. DNA gyrase

Correct answer: 3. Taq polymerase

Explanation: ANSWER: (C) Taq polymeraseREF: Lehninger Principles of Biochemistry 4th edition page 321PCR uses a heat-stable DNA polymerase, such as the Taq polymerase (derived from a bacterium that lives at 90 cC), which remains active after every heating step and does not have to be replenished.